Receptor w hich itself is a dendrite of a nerve
1. Visual
2. Gustatory
3. Olfactory
4. Hearing

Correct answer: 3. Olfactory

Explanation: (C) Olfactory > Olfactory Mucous Membrane contains supporting cells & progenitor cells for the olfactory receptors.> Interspersed between these cells are 10-20 million receptor cells.> Each olfactory receptor is a neuron & the olfactory mucous membrane is said to be the place in the body where the nervous system is closest to the external world.